Greatest amount of cranial growth occurs by:
1. Birth to five years
2. 5 — 6 years
3. 6 — 7 years
4. 7 — 10 years

Correct answer: 1. Birth to five years

Explanation: The head of a newborn is about 55%–60% of adult head breadth, 40%–50% of adult height and 30%–35% of adult depth. The cranium to-face ratio in a newborn is 8:1.  With continued development, especially of the lower face, the ratio changes to 1:2 in adulthood.
By the age of 8 years, the brain is nearly 95% of its adult size. This rapid growth spurt is followed by a plateau phase of slow but steady growth that continues till adulthood.